An obsterician sees a pregnant patient who was exposed to rubella virus in the eighteen week of pregnancy. She does not remember getting a rubella vaccination. The best immediate course of action is to
1. Terminate the pregnancy
2. Order a rubella antibody titer to determine immune status
3. Reassure the patient because rubella is not a problem until after the thiieth week
4. Administer rubella vaccine

Correct answer: 2. Order a rubella antibody titer to determine immune status

Explanation: The highest risk of fetal infection with rubella occurs during the first trimester. In seronegative patients, the risk of infection exceeds 90%. However, before other measures (such as termination of pregnancy) are considered, a rubella immune status must be performed. A rubella titer of 1:10 is protective.